Most common tumor in bones of hand:
1. Exostosis
2. Giant cell tumor
3. Enchondroma
4. Synovial sarcoma

Correct answer: 3. Enchondroma

Explanation: (c) EnchondromaEnchondromas are most common type of hand bone tumor.- Phalanges of hand are involved most commonly and the proximal phalanx is the most common site.